Which one of the following is TRUE regarding media for culturing organisms?
1. Agar has nutrient properties
2. Chocolate medium is selective medium
3. Addition of selective substances in a solid medium is called enrichment media
4. Nutrient broth is basal medium

Correct answer: 4. Nutrient broth is basal medium

Explanation: Nutrient broth is an example for simple medium or basal medium. It consists of peptone, meat extract, sodium chloride and water. Agar is used for preparing for solid media. Its chief constituent is a long chain polysaccharide. It has virtually no nutritive value and is not affected by the growth of bacteria. Chocolate agar, blood agar, and egg media are examples for enriched media. They are used to grow bacteria which are more exacting in their nutritional needs. Addition of substances which have a stimulating effect on the bacteria to be grown or an inhibitory effect on those to be suppressed in a liquid medium is called enrichment media. The result is an absolute increase in the numbers of the wanted bacterium. Ref: Ananthanarayan and Paniker's Textbook of Microbiology By Ananthanarayan And Paniker, 7th edition, Page 34, 37.